Most common cause of congenital adrenal hyperplasia?
1. 17- Hydroxylase deficiency
2. 11- Hydroxylase deficiency
3. 21- Hydroxylase deficiency
4. 16- Hydroxylase deficiency

Correct answer: 3. 21- Hydroxylase deficiency

Explanation: Ans. c (21- Hydroxylase deficiency). (Ref. Harrison, Principles of Medicine, 18th/2178)Congenital adrenal hyperplasia (CAH)Features3-beta-OH21-OH11-beta-OH17-alpha-OH1. Salt loss++ 2. Hypertension -++3. Virilization-++-4. Ambigous genitaliaa) Male+__+b) Female+++-Note: 21-hydroxylase deficiency is the most common type of CAH